Anderson-Hynes operation is performed for:-
1. Achalasia cardia
2. Pyloric stenosis
3. Pseudopancreatic cyst
4. Pelviureteric junction obstruction

Correct answer: 4. Pelviureteric junction obstruction

Explanation: Anderson-Hynes operation is performed for Pelviureteric junction obstruction caused by PUJ stenosis